'Rule of Nine' to estimate surface area of burns was given by:
1. Moiz Kaposi
2. Alexander Wallace
3. Joseph Lister
4. Thomas Barclay

Correct answer: 2. Alexander Wallace

Explanation: Ans. B i.e. Alexander Wallace